The paracentral lobule is located in
1. Medial surface of cerebral hemisphere
2. Superolateral surface of cerebral hemisphere
3. Tentorial surface of cerebral hemisphere
4. Orbital surface of cerebral hemisphere

Correct answer: 1. Medial surface of cerebral hemisphere

Explanation: The paracentral lobule is a gyrus on the medial surface of the cerebral hemisphere. It is present in the motor area of frontal lobe where representation is upside down. The areas for the legs and perineum lie in the paracentral lobule.Ref: BD Chaurasia; volume 3; 6th edition; Brain; page no: 378